Which of the following is the most common neurocutaneous syndrome?
1. Neurofibromatosis
2. Tuberous sclerosis
3. Sturge Weber syndrome
4. Von Hippel Lindau disease

Correct answer: 1. Neurofibromatosis

Explanation: The most common neurocutaneous syndrome is Neurofibromatosis.